Adduction fracture of hyoid may be seen in:
1. Ligature strangulation
2. Manual strangulation
3. Hanging
4. Bansdola

Correct answer: 2. Manual strangulation

Explanation: Ans. B i.e. Manual strangulation